Wof is the most likely explanation for multiple drug resistance to antibiotics that spreads from one type of bacteria to another
1. Adaptation
2. Gene transfer
3. Mutation
4. Decreased bioavailability

Correct answer: 2. Gene transfer

Explanation: Gene transfer (infectious resistance) The resistance causing gene is passed from one organism to the other; is called horizontal transfer of resistance. Rapid spread of resistance can occur by this mechanism and high level resistance to several antibiotics (multidrug resistance) can be acquired concurrently. Ref :- kd tripathi; pg num:-692